The drug approved for obesity treatment along with Phentermine is
1. Topiramate
2. Sibutramine
3. Fenfluramine
4. Lorcaserin

Correct answer: 1. Topiramate

Explanation: Topiramate causes weight loss. Recently it was approved for obesity treatment along with Phentermine.This drug is an extended release or controlled release preparation.Phenteramine is an non adrenergic sympathomimetic and topiramate anti seizure and antimigrate drug available in FDC known as Qsymia.Ref: H.L.Sharma; 3rd ed.; pg 925